The only thrombolytic agent approved for the treatment of acute ischemic stroke is :
1. Tissue Plasminogen activator
2. Streptokinase
3. Urokinase
4. Pro-urokinase

Correct answer: 1. Tissue Plasminogen activator

Explanation: Answer is A (Tissue plasminogen activator): Recombinant Tissue plasminogen Activator (RtPA) is the only thrombolytic agent that is approved for the treatment of acute ischaemic stroke The use of all other thrombolytics except Recombinant Tissue plasminogen activator has been stopped because of associated high rates of intracranial hemorrhage. `The National Institute of Neurological disorders and recombinant tPA stroke study showed a clear benefit of intravenous PA in selected patients with Acute stroke' -- Harrisons 16th/ 2374 The use of thrombolysis has always been an issue of controversy in the management of ischaemic strokes. The theoretical advantage of these agents in clearing aerial occlusions has to be weighed against the risk of intracranial haemorrhage. `Despite an increased incidence of symptomatic intracerebral bleed, treatment with intravenous PA within 3 hours of onset of ischaemic stroke improved clinical outcome' - Harrison 171h/ 2515.